High tracheostomy is indicated in.......oflarynx:
1. Scleroma
2. Tuberculosis
3. Carcinoma
4. Multiple papilloma

Correct answer: 3. Carcinoma

Explanation: Ans: c (Carcinoma)Ref: Rober's Brown 5,h/e p. 2,108,8